All the following are attachments to the Medial pterygoid plate except
1. Buccopharyngeal Fascia
2. Superior constrictor
3. Auditory tube
4. Pterygomandibular raphe

Correct answer: 1. Buccopharyngeal Fascia

Explanation: The attachments on the medial pterygoid plate are as follows:(a) The pharyngobasilar fascia is attached to the whole length of its posterior border(b) The lower part of the posterior border, and the pterygoid hamulus, give origin to the superior constrictor of the pharynx.(c) The upper part of the posterior border is notched by the auditory tube.(d) The pterygomandibular raphe is attached to the tip of the pterygoid hamulus.Reference: Chourasia; 6th edition; 18th page